Choose the most effective drug for mild intestinal amoebiasis and asymptomatic cyst passers :
1. Metronidazole
2. Emetine
3. Quiniodochlor
4. Diloxanide furoate

Correct answer: 4. Diloxanide furoate